A patient presents with a frontal abscess. Foul-smelling pus is aspirated. Pus shows red fluorescence on the ultraviolet examination. The most likely organism causing the frontal abscess is
1. Prevotella
2. Peptostreptococcus
3. Pseudomonas
4. Acanthamoeba

Correct answer: 1. Prevotella

Explanation: The causative organism is likely to be Prevotella melaninogenica. It is easy to recognize because of the black or brown color of colonies. Culture or specimen under ultraviolet light may show a bright red fluorescence. Reference: Textbook of Microbiology; Anathanarayan and paniker's; 10th edition; Page no: 275